Posterior communicating artery connects
1. Two posterior cerebral arteries
2. Posterior cerebral artery with middle cerebral artery
3. Posterior cerebral artery with internal carotid artery
4. Anterior cerebral artery with middle cerebral artery

Correct answer: 3. Posterior cerebral artery with internal carotid artery

Explanation: Posterior communicating artery connects the internal carotid artery with posterior cerebral artery.(Ref: Vishram Singh textbook of clinical neuroanatomy second edition pg 172)